Function of sodium borate in embalming fluid is
1. Anticoagulant
2. Preservative
3. Buffer
4. Vechile

Correct answer: 3. Buffer

Explanation: Buffer